What are the minimum and maximum possible values of Glasgow Coma Score?
1. Minimum = 3, Maximum = 15
2. Minimum = 0, Maximum = 13
3. Minimum = 0, Maximum = 15
4. Minimum = 3, Maximum = 18

Correct answer: 1. Minimum = 3, Maximum = 15

Explanation: Ans. a. Minimum = 3. Maximum = 15 (Ref: Harrison 19/e p1730, 18/e p3381-3382; Sabiston 19/e p1894; Schwartz 9/e p1522; Bailey 26/e p312. 25/e p301. 302)In Glasgow Coma Scale (GCS). maximum score is 15 and minimum score is 3.Glasgow Coma Scale (GCS)Eye OpeningVerbal responseBest Motor responseSpontaneous4Oriented5Obeys commands6To loud voice3Confused, disoriented4Localizes pain5To pain2Inappropriate words3Flexion (withdrawal) to pain)4No response1Incomprehensible sounds2Abnormal flexion posturing3 No response1Extension posturing2 No response1Maximum score-15Q. minimum score-3Q.Best predictor of outcome: Motor responseQPatients scoring 3 or 4 have an 85% chance of dying or remaining vegetative, while scores above 11 indicate only a 5-10% likelihood of deathQ